A football player has suffered severe trauma to the lateral part of the left leg just below the knee. He drags his left toe when he walks and cannot feel the dorsum of the foot. Which of the following will still be intact
1. Dorsiflexion
2. Eversion
3. Cutaneous sensation of the medial leg
4. Cutaneous sensation between the great toe and the second toe

Correct answer: 3. Cutaneous sensation of the medial leg

Explanation: Cutaneous sensation of the medial leg* o Cutaneous sensation of the medial leg is provided by the saphenous nerve, a branch of the femoral nerve that would be unaffected by this lesion, which has damaged the common peroneal nerve o The common peroneal nerve represents a major nerve terminal of the sciatic nerve, providing the motor supply to the muscles of the anterior and lateral compartments of the leg. o It is the most commonly damaged nerve in the lower limb and is relatively unprotected as it traverses the lateral aspect of the head/neck of the fibula. o Damage may occur from direct trauma, pressure by plaster casts at the back of the fibula, or stretching after a prolonged period with the knee fully flexed, e.g. kneeling. Clinical features include: Foot drop Weakness of dorsiflexion and eversion of the foot Inversion and plantar flexion are normal Anaesthesia over the lower lateral pt of the leg and dorsum of the foot